In tubercular meningitis what is not seen?
1. Low sugar
2. Lymphocytic pleocytosis
3. High protein
4. Opening pressure is low

Correct answer: 4. Opening pressure is low

Explanation: ANSWER: (D) Opening pressure is lowREF: Chandrasoma Taylor 3rd ed p. 915CSF changes in meningitisCSF parametersBacterial meningitisTB meningitisViral meningitisOpening pressureRaisedRaisedRaisedGross appearanceTurbidClear (may clot)ClearProtein (normal - 20-50 mg/dl)HighVery highSlightly highGlucose (40-70mg/dl)Very lowLowLowChloride (116-122 micro gram/dl)LowVery lowNormalCells > 5/microliterNeutrophilsPleocytosisLymphocytosis